Which is the first permanent tooth to erupt ?
1. Canine
2. Molar
3. Incisors
4. Premolar

Correct answer: 2. Molar

Explanation: First and the last tooth to erupt in permanent dentition is Molars.